Cobras belong to:
1. Viperidae
2. Elapidae
3. Colubriadae
4. Crotalidae

Correct answer: 2. Elapidae

Explanation: Ans. Elapidae